Dacrocytorhinostomy involves-
1. Opening up the terminal blocked end of nasolacrimal duct
2. Connecting the lacrimal sac to nose by breaking the medial wall
3. Complete excision of lacrimal
4. Insertion of drainage tube in the lacrimal sac

Correct answer: 2. Connecting the lacrimal sac to nose by breaking the medial wall

Explanation: Connecting the lacrimal sac to nose by breaking the medial wall
Ref.ak khurana 6th edition pg no 396